Biopsy of the exposed surface of the palatine tonsil reveals the following type of tissue
1. Simple columnar epithelium
2. Pseudostratified columnar ciliated epithelium
3. Simple squamous epithelium
4. Stratified squamous epithelium

Correct answer: 4. Stratified squamous epithelium

Explanation: The palatine tonsil is situated at the oropharyngeal isthmus. Its oral aspect is covered with stratified squamous nonkeratinized epithelium, which dips into the underlying tissue to form the crypts. The lymphocytes lie on the sides of the crypts in the form of nodules. The tonsil has two surfaces medial and lateral. The medial surface is covered by stratified squamous epithelium continuous with that of the mouth. Ref: BD Chaurasia's HUMAN ANATOMY, Volume 3, 4th edition.